Woman with myocardial infarction are more likely to present with complications like......than males.
1. Cardiac arrest
2. Ventricular tachycardia
3. Atrial fibrillation
4. Aortic dissection

Correct answer: 1. Cardiac arrest

Explanation: Woman with myocardial infarction are more likely to present with cardiac arrest or cardiogenic shock whereas men are more likely to present with ventricular tachycardia. Ref: Harrison, Edition-18, Page-52